Liver biopsy is normal in -a) Dubin johnson syndrome b)  Gilbert syndromec)  Hemochromatosisd)  Wilson's diseasee)  Rotor's syndrome
1. ab
2. ad
3. bc
4. be

Correct answer: 4. be

Explanation: Liver pathology is normal in Gilbert, Crigler Najjar, Rotor Syndrome.
In Dubin Johson syndrome liver is darkly pigmented. Liver biopsy is not normal in wilson's disease, Hemochromatosis.